Which is not a barrier method of contraception ?
1. Condom
2. Suppositories
3. Diaphragm
4. IUD

Correct answer: 4. IUD

Explanation: Ans. is 'd' i.e., IUD Barrier methods A variety of barrier or occlusive methods, suitable for both men and women are available. The aim of these methods is to prevent live sperm from meeting the ovum. Barrier methods are less effective than either the pills or IUD.